Which of the is the most common cause of delayed urinary tract obstructive symptoms after TURP
1. Stricture of the Navicular fossa
2. Stricture of the membranous urethra
3. Stricture of the bulb of urethra
4. Bladder neck stenosis

Correct answer: 4. Bladder neck stenosis

Explanation: Complications of TURP Bleeding, urethral stricture or bladder neck contracture, perforation of the prostate capsule with extravasation, and if severe, TUR syndrome Late complications Bladder neck stenosis (4%) > Urethral stricture (3.6%) Bladder neck stenosis is seen more often with small (<30 gm) fibrotic prostate Bladder neck contracture Occasionally, a dense fibrotic stenosis of the bladder neck occurs following overaggressive resection of a small prostate. It may be due to the overuse of coagulating diathermy. Trans- urethral incision of the scar tissue is necessary using laser or diathermy. Ref: Bailey and love 27th edition Pgno :1467